Skin penetration not seen in -
1. Taenia saginata
2. Nectator americanus
3. Ankylostoma duodenale
4. Strongyloides stercoralis

Correct answer: 1. Taenia saginata

Explanation: Ans. is 'a' i.e., Taenia saginata Parasites enter through skinFrom soilo Ancylostoma duodenaleo Ancylostoma brazilienseo Ancylostoma caninumo Nector americanso Strongyloides stercoral iso Strongyloides fullebomiFrom watero Acanthamoebao Schistostoma